30-year-old female c/o right hypochondrial pain- On CT floating membranes are seen in liver- diagnosis
1. Amoebiasis
2. Hydatid cyst
3. Tuberculosis
4. HCC

Correct answer: 2. Hydatid cyst

Explanation: Ans. (b) Hydatid CystRef: Sabiston 20th edition page 1453* CT shows Water lilly appearance or Honey Comb Appearance in Hydatid cyst.* Calcifications are typically seen in Hydatid cyst.